Needle shaped crystals negatively birefringent on polarized microscopy is Characeteristic of which crystal assosciated arthropathy
1. Gout
2. CPPD
3. Neuropathic arthropathy
4. Hemophilic arthropathy

Correct answer: 1. Gout

Explanation: Crystals of gout ----needle shaped and strongly negative bifringent Crystals of pseudogout -----rhomboid shaped and weakly positive bifringent Refer : Harrinson 20thth/e p 2165 maheswari 9th ed